IL2 is secreted by?
1. Neutrophills
2. Helper T-cells
3. Macrophages
4. NK cells

Correct answer: 2. Helper T-cells

Explanation: Ans. is 'b' i.e., Helper T-cells o IL-2 is secreted by lectin- or antigen-stimulated helper T cellsSelected important cytokinesNameMajor Cellular SourceSelected Biologic EffectsIFN-a, -bLeukocytes (IFN-a), fibroblasts (IFN-b)Antiviral, pyrogenicIFN-( interferon)T cells, NK cellsActivates mononuclear phagocytesTNF-a (tumor necrosis factor alpha)Macrophages, NK cellsCell activation, fever, cachexia, antitumorTNF -b (tumor necrosis factor beta), LT (lymphotoxin)T cells, B cellsActivates leukocytes, antitumorIL-1 (interleukin - 1)Macrophages, epithelial cellsT cell and macrophage activation,fever, cachexiaIL-2 (interleukin - 2)T cells (CD4 Helper T-cells)T cell growth and activationIL-3 (interleukin - 3)T cells, thymic epithelial cellsHematopoiesisIL-4 (interleukin - 4)T cells, mast cells, NK cellsB cell proliferation and switching to IgEIL-5 (interleukin - 5)T cellsDifferentiation of eosinophils(NEET)IL-7 (interleukin - 7)Bone marrow stromal cellsLymphoid progenitor differentiation